Duration of action of Lidocaine with adrenaline
1. 15-30 minutes
2. 30-60 minutes
3. 2-3 hours
4. 3-6 hours

Correct answer: 3. 2-3 hours

Explanation: Duration of action of lidocaine with adrenaline is 2-3 hours. Adrenaline enhances both speed and quality of block, It also prolong effect of lignocaine and reduce the peak blood level and toxicity by reducing the local blood supply duration of action of lidocaine whithout adrenaline is 30-90min